Which of the following is not seen in Parkinsonism?
1. Preserved postural reflexes
2. Hypokinesia
3. Rigidity
4. Static tremors

Correct answer: 1. Preserved postural reflexes

Explanation: Ans: A (Preserved postural reflexes) Ref: Harrison's Principles of Internal Medicine. 18th edition. 2012. Chapter 372. (Table 372-3)Explanation:Clinical Features of Parkinson's DiseaseCardinalFeaturesOther Motor FeaturesNonmotorFeaturesBradykinesiaRest tremorRigidityGait disturbance/posturalinstabilityMicrographiaMasked facies (hypomimia equalizeReduced eye blinkSoft voice (hypophonia)DysphagiaFreezingAnosmiaSensory disturbances (e.g., pain)Mood disorders (e.g.t depression)SleepdisturbancesAutonomicdisturbancesOrthostatichypotensionGastrointestinaldisturbances GemtourinaldisturbancesSexual dysfunctionCognitiveimpairment/Dementia